Area between one standard deviation on either side of mean in normal distribution curve is:
1. 62%
2. 68%
3. 90%
4. 99%

Correct answer: 2. 68%

Explanation: Ans. is 'b' i.e. 68% * mean +- 1SD-68.3%* mean +- 2SD-95.4%* mean +- 3SD-99.7%